Biceps brachii is supplied by -
1. Radial nerve
2. Median nerve
3. Musculocutaneous nerve
4. Axillary nerve

Correct answer: 3. Musculocutaneous nerve

Explanation: Musculocutaneous nerve supplies Biceps brachii.